Cryopercipitate is Rich in which of the following
1. Factor 2
2. Factor 5
3. Factor 7
4. Factor 8

Correct answer: 4. Factor 8

Explanation: ref Robbins 7/e p664 Cryoprecipitate is prepared from plasma and contains fibrinogen, von Willebrand factor, factor VIII, factor XIII and fibronectin. Cryoprecipitate is the only adequate fibrinogen concentrate available for intravenous use. Cryoprecipitateis available in pre-pooled concentrates of five units And is rich in factor 8.